Comedons are characteristics of:
1. Acne vulgaris
2. Acne rosasea
3. SLE
4. d. Adenoma sebaceum

Correct answer: 1. Acne vulgaris

Explanation: Ans is 'a' i.e, Acne vulgaris